A patient after valve replacement will require follow up treatment with
1. Warfarin
2. ACE inhibitors
3. Beta blockers
4. Thiazide

Correct answer: 1. Warfarin

Explanation: Warfarin-Warfarin being oral anticoagulant is used as prophylaxis after valve replacement because of propensity of these pts. developing thromboembolism is higher. Rx- warfarin + Inj heparin -life time use Heparin is discontinued after five days where as warfarin is taken lifelong. As warfarin takes at least 5 days to show its effect. Note-with warfarin therapy INR monitoring should be done.